The fixative used in histopathology -
1. 10% buffered neutral formalin
2. Bouins fixative
3. Glutaraldehyde
4. Ethyl alcohol

Correct answer: 1. 10% buffered neutral formalin

Explanation: HISTOPATHOLOGY LABORATORY. Tissue cassettesalong with the unique number are given in the gross room to thetissue sample is carried throughout laboratory procedures.Majority of histopathology departments use automated tissueprocessors. having 12 separate stages completing thecycle in about 18 hours by overnight schedule as under:10% formalin for fixation;ascending grades of alcohol (70%, 95% through 100%) fordehydration for about 5 hours in 6-7 jars,xylene/toluene/chloroform for clearing for 3 hours in twojars; andparaffin impregnation for 6 hours in two thermostat-fittedwax baths. HARSH MOHAN Textbook of pathology 6th edition pg no 10